Most common cause of proptosis in adults is
1. Orbital cellulitis
2. Thyroid ophthalmopathy
3. Carotico-cavernous fistula
4. Trauma

Correct answer: 2. Thyroid ophthalmopathy

Explanation: (Refer: AK Khurana Comprehensive Ophthalmology, 6th edition, pg no. 403 - 407)The most common cause of unilateral proptosis in children is orbital cellulitisThe most common cause of unilateral proptosis in adults is thyroid ophthalmopathy